Most common type of renal cancer is
1. Medullary
2. papillary
3. chromophobe
4. Clear cell cancer

Correct answer: 4. Clear cell cancer

Explanation: Clear cell Ca is most common. It usually involves PCT